Red degeneration in a case of fibroid with pregnancy occurs most often during :
1. First trimester
2. Second trimester
3. Third trimester
4. Puperium

Correct answer: 2. Second trimester

Explanation: Second trimester